Plusating tumours include all except -
1. Bone sarcoma
2. Osteoclastoma
3. Secondaries from hypernephromas
4. Secondary from prostate

Correct answer: 4. Secondary from prostate

Explanation: Ans. is 'd' i.e., Secondary from prostate